Which of the following drug can be given intravenously,epidurallyor by transdermal route
1. Thiopentone
2. Succinylcholine
3. Vecuronium
4. Fentanyl

Correct answer: 4. Fentanyl